Proxa brushes are recommended to be used in
1. Type I embrasure
2. Type II embrasure
3. Type III embrasure
4. Any of the above

Correct answer: 2. Type II embrasure